Cell wall deficient organisms are:
1. Chlamydia
2. Mycoplasma
3. Staphylococcus
4. Clostridium

Correct answer: 2. Mycoplasma

Explanation: Ans. is 'b' i.e., Mycoplasma(Ref: Ananthanarayan, 9th/e, p. 386 and 8th/e, p. 16)Mycoplasma is bacteria that are cell wall deficient and hence don't possess a stable morphology.Mycoplasma represents Stable L - forms.* L - forms named after Lister INSTITUTE, London.* Streptobacillus moniliformis, Mycoplamsa.* Resistant to cell wall acting drug.Protoplast (Gm+ve) Spheroplast (Gm-ve).